Characteristic histopathologv finding in Whipples disease is -
1. PAS positive macrophages and rod shaped bacilli in lamina propria
2. Shortened thickened villi with increased crypt depth
3. Blunting and flattening of mucosal surface and absent villi
4. Mononuclear infiltration at base of crypts

Correct answer: 1. PAS positive macrophages and rod shaped bacilli in lamina propria

Explanation: Ans. is 'a' i.e., PAS positive macrophages and rod shaped bacilli in lamina propria o The hallmark of Whipple's disease is a small intestinal mucosa laden with distended macrophages in the lamina propria- the macrophages contain periodic acid-schiff (PAS) positive granules and rod shaped bacilli by electron microscopy.o Three forms of Malabsorption Syndromes are often asked and the basic understanding of these is able to exclude a large number of questions.Whipple's DiseaseTropical SprueCoeliac DiseaseMalabsorption syndrome with svstemic features with infectious etioloevMalabsorption syndrome of infectious etiology without svstemic featuresMalabsorption syndrome of non infectious etioloav without svstemic featuresEtiologyEtiologyEtiologyGram negative actinomycete Tropheryma whip pel iiCaused by some strains of E.coliCaused by intolerance to 'gliadin' gluten a protein found in wheat rve, barley.BiopsyDiagnosticBiopsyAbnormal but Not DiagnosticBiopsyAbnormal/Characteristic butNot DiagnosticLamina Propria is infiltrate with macrophages containing PAS positive glycoproteins and rod shaped bacili Dilated lymphaticsShortened, thickened villi increased crypt depth infiltration by mononuclear cellsBlunting and flattening of mucosal surface with villi either absent or broad and shorty Crypts are elongatedy Dense infiltration of inflammatory cells in lamina propria inflammatory.Clinical featuresClinical featuresClinical featuresFeatures of maiasorption+ Array of systemic featuresFeatures of malabsorptionFeatures of malabsorptionSystemic features of whipple's diseaseo Polyarthralgiao Psychiatric complaints - Dementiao Ophthalmologic complaintso Lymphadenopathyo Hyperpigmentation